Transfer of an amino group from an amino acid to an alpha keto acid is done by:
1. Transaminases
2. Aminases
3. Transketolase
4. Decarboxylase

Correct answer: 1. Transaminases

Explanation: Transaminases